Anti infective vitamin is -
1. Vitamin B6
2. Vitamin A
3. Vitamin D
4. Vitamin C

Correct answer: 2. Vitamin A

Explanation: Ans. is 'b' i.e., Vitamin AFunctions of Vit A o Vitamin A is essential for -1.Normal vision Retinol is necessory for functioning of retina. Regeneration of rhodopsin during dark light is vit A dependent vit A deficiency causes defective dark adaptation.2. Anti-infective Vitamin A is necessary for integrity of epithelial tissues that resist invasion by pathogens. Vitamin A has some role in immune response.Anticancer effectBeta-carotene has antioxidant property --> by virtue of this action it reduces the incidence of lung, breast, oral, esophageal and bladder cancers.Skeletal - growthVitamin A supports skeletal growth.